Most common cause of ASOM is-
1. Meningococci
2. Pneumococci
3. Hinfluenzae
4. Moraxella

Correct answer: 2. Pneumococci

Explanation: Ans. is 'b' i.e., Pneumococci o ASOM is an acute inflammation of middle ear cleft caused by pyogenic organism.o It is worth noting that ASOM is the infection of middle ear cleft, i.e., middle ear (tympanic cavity), Eustachian tube, Attic, Aditus, antrum and mastoid air cells,o ASOM is especially common in infants and children.o Most of the time ASOM usually follows respiratory tract infections (i.e., acute tonsillitis, common cold or influenza) and the infection travel up by the eustachian tube to the middle ear.o The most common causative organism is streptococcus pneumoniae. Other common organisms are H. influenzae and Moraxella catarrhalis. Less common causative organisms are streptococcus pyogenes, staphylococcus aureus and E.coli.